Animal waste such as placenta is disposed by-
1. Incineration
2. Autoclave
3. Microwave
4. None

Correct answer: 1. Incineration

Explanation: - animal wastes comes under category no 2 of biomedical wastes. - it should be disposed by incineration. Reference: Park's textbook of preventive and social medicine, 23rd edition, pg no:793